Which of the following immuno–suppressive agents acts selectively by inhibiting helper T–cells ?
1. Cyclophosphamide
2. Azathioprine
3. Cyclosporine
4. Cystosine arabinoside

Correct answer: 3. Cyclosporine